Epidemic typhus is caused by
1. Rickettsia tsutsugamushi
2. Rickettsia Quintana
3. Rickettsia rickettsiae
4. Rickettsia prowazekii

Correct answer: 4. Rickettsia prowazekii

Explanation: (D) Rickettsia prowazekii # Epidemic typhus is caused by R. prowazekii.> R. prowazekii named after von Prowazek, who had contracted fatal typhus fever while investigating the disease. Amongst the options provided 'Louse' is the insect vector only for Rickettsia Prowazakii.# RICKETTSIAL INFECTION INSECT VECTORS:> Louse: Rickettsia Prowazekii (Epidemic typhus) Bartonella quintana (Trench fever)> Mites: Rickettsia tsutsugamushi (scrub typhus) Rickettsia akari (Rickettsial pox)> Ticks: Rickettsia rickettsii (Rocky Mountain Spotted Fever) Rickettsia conori (Ticky Typhus, Tick Fever) Rickettsia australis (Tick typhus) Rickettsia sibrica (Tick typhus)> Fleas: Rickettsia typhi (Endemic typhus)> Q Fever: Human infection occurs from inhalation of dust (No insect vectors) Etiological agent is Coxiella burneti Insect vector is None